Plasmacytoid lymphomas may be associated with an increase in
1. IgG
2. IgM
3. IgA
4. IgE

Correct answer: 2. IgM

Explanation: *Lymphoplasmacytic lymphomas are otherwise called as plasmacytoid lymphomas or immunocytomas. *It is a mature B cell neoplasm of older adults (60-70years)*Bone marrow shows small lymphoid cells and admixed plasma cells*These plasma cells secrete monoclonal IgM*IgM can cause a hyperviscosity syndrome called Waldenstrom's macroglobulinemia.(Ref: Robbins 8/e p612)